Clopidogrel is an
1. Anti hypertensive
2. Antidiabetic
3. Antiplatelet
4. Anticoagulant

Correct answer: 3. Antiplatelet